All of the following malignancies are seen in anterior mediastinum except -
1. Teratoma
2. Thymoma
3. Lymphoma
4. Neuroenteric cyst

Correct answer: 4. Neuroenteric cyst

Explanation: Ans. is 'd' i.e., Neuroenteric cyst